Retinoblastoma arises from:
1. Layer of rods and cones
2. Layer of bipolar cells
3. Ganglion cells layers
4. Any nucleated retinal layer

Correct answer: 4. Any nucleated retinal layer

Explanation: Ans. Any nucleated retinal layer